Pyronaridine is
1. Antimalarial
2. Anti-HIV
3. Anti fungal
4. Antibacterial

Correct answer: 1. Antimalarial

Explanation: Refer KDT 6/e p796 Pyronaridine is an anti malarial agent related to amodoaquine .It is highly effective against chloroquine resistant and falciparum Malaria. Currently it is being evaluated in combination with artesunate